"Fecal" leucocytes are absent in all of the following, except:
1. Giardiasis
2. Cryptosporidiosis
3. Campylobacter infection
4. Clostridium perfringes infection

Correct answer: 3. Campylobacter infection

Explanation: Campylobacter infection